Episodes of depression in major depressive disorder tend to:
1. Increase in frequency with age
2. Decrease in length with age
3. Last for about 9 months when treated
4. Have a rapid onset

Correct answer: 1. Increase in frequency with age

Explanation: Episodes of major depression tend to increase in both length and frequency with age. When treated, episodes of major depression last for about 3 months. If untreated, depression lasts from 6 to 12 months. Episodes of major depression often have a gradual onset and occur an average of 5 to 6 times over a 20-year period.